In which system, continous enumeration of births and deaths by enumerator and an independent survey by investigator supervisor is done?
1. Decadal Census Enumeration
2. Sample registration system
3. Model registration system
4. National family health survey

Correct answer: 2. Sample registration system